Reinke crystalloids can be seen in which of the following sex cord-stromal tumours?
1. Leydig cell tumour
2. Granulosa cell tumour
3. Gonadoblastoma
4. Thecoma

Correct answer: 1. Leydig cell tumour

Explanation: Hilus cell tumours (pure Leydig cell tumours) are rare, unilateral tumors comprised of large lipid-laden Leydig cells with distinct borders and characteristic cytoplasmic structures called Reinke crystalloids.